Which is the shortest acting mydriatic
1. Atropine
2. Homatropine
3. Tropicamide
4. Cyclopentolate

Correct answer: 3. Tropicamide

Explanation: C i.e. Tropicamide